A young woman had a H/o spontaneous abortion and secondary amenorrhea since then. FSH 6 IU/l Reason:
1. Ovarian failure
2. Pituitary failure
3. Ongoing pregnancy
4. Uterine synechiae

Correct answer: 4. Uterine synechiae

Explanation: Ovarian Failure is when the FSH is 40 Million IU or more. Pituitary failure has FSH values lesser than 1 Million IU. Since she came after an abortion, then an ongoing pregnancy is ruled out. Uterine synechiae, called Asherman syndrome, do cause amenorrhea mostly after an 'Over zealous" curettage but even a spontaneous abortion can cause a post abortal endometritis which may lead to healing of the endometrium with scarring and fibrosis.